Level of splitting in epidermolysis bullosa simplex is -
1. Intra epidermal
2. Sub epidermal
3. Subcorneal
4. None of the above

Correct answer: 1. Intra epidermal

Explanation: Ans is 'a' i.e. Intraepidermal Important vesiculobullous disordersIntraepidermalo Pemphigus (vulgaris, P. foliaceous. erythematosus )o Staphylococcal scalded skin syndromeo Bullous impetigoo Friction blisterso Hailey Hailey disease (familial benign pemphigus)o Subcorneal pustular dermatosiso Eczematous dermatitiso Darrier's diseaseo Erythema multi formeo Epidermolysis bullosa simplexo Infections - HSV /VZV, Molluscum contagiousSubepidermalo Bullous pemphigoido Dermatitis herpetiformiso Deep bumso Epidermolysis bullosa acquisitao Porphyria cutanea tardao Junctional epidermolysis bullosao Toxic epidermal necrolysis